Muscle of neck with dual neerve supply?
1. Sternohyoid
2. Thyrohyoid
3. Digastric
4. Stylohyoid

Correct answer: 3. Digastric

Explanation: Anterior belly of digastric is supplied by nerve to mylohyoid (a branch of mandibular nerve) & posterior belly is supplied by facial nerve.